Commonest presentation of MEN I
1. Primary hyperparathyroidism
2. Hyperprolactinemia
3. Hypergastrenemia
4. Acromegaly

Correct answer: 1. Primary hyperparathyroidism

Explanation: Ans. a (Primary hyperparathyroidism) (Ref. H-17th/2359; 2361)# MEN1 is the most common multiple endocrine neoplasia syndrome.# Primary hyperparathyroidism is the most common manifestation of MEN1.# Parathyroid hyperplasia is the most common cause of hyperparathyroidism in MEN1.# Enteropancreatic tumors are the second most common manifestation of MEN1.# Gastrinomas are the most common enteropancreatic tumors observed in MEN 1.# Insulinomas are the second most common enteropancreatic tumors in patients who suffer from MEN 1.# MTC is the most common manifestation of MEN2A.MEN SYNDROMEMEN1 (Wermer's syndrome)MEN2Mixed SyndromesParathyroid hyperplasia or adenomaIslet cell hyperplasia, adenoma, or carcinomaPituitary hyperplasia or adenomaOther less common manifestations: foregut carcinoid, pheochromo- cytoma, subcutaneous or visceral lipomasMEN2AMTCPheochromocytomaParathyroid hyperplasia or adenomaMEN2A with cutaneous lichen amyloidosisMEN2A with Hirschsprung diseaseFamilial MTCMEN2BMTCPheochromocytomaMucosal and gastrointestinal neuromasMarfanoid featuresVon Hippel-Lindau syndromePheochromocytomaIslet cell tumorRenal cell carcinomaHemangioblastoma of central nervous systemRetinal angiomasNeurofibromatosis with features of MEN1 or 2Carney complexMyxomas of heart, skin, and breastSpotty cutaneous pigmentationTesticular, adrenal, and GH-producing pituitary tumorsPeripheral nerve schwannomas